True about Heymann rat glomerulonephritis -a) Heymann antigen is called megalin b) Electron dense deposits in subendothelial spacec) Electron dense deposits in mesangiumd) Subepithelial aspect of basement membrane have depositse) Antigen against bacterial and viral products
1. b
2. c
3. ad
4. ab

Correct answer: 3. ad

Explanation: The Heyman model of rat glomerulonephritis is glomerulonephritis due to deposition of nonglomerular basement membrane, autologous antibody.
It is induced by immunizing rat with an antigen containing preparation of proximal tubular brush border.
The rats develop antibodies to this antigen and a membranous glomerulopathy, resembling human membranous glomerulopathy. The antigen is called megalin and homology to LDL receptor.
On electron microscopy, the glomerulopathy is characterized by presence of numerous electron dense deposits along the subepithelial aspect of basement membrane. Immunofluorenscence microscopy shows granular deposit.
This disease results largely from the reaction of antibody with an antigen complex located basal surface of visceral epithelium and cross-reacting with the brush border antigen used in experiments.
The antibody binding to the glomerular epithelial cell membrane is followed by complement activation and subepithelial deposit.